A 25 year old female patent with Haemoglobin level of 4gm/dl was given blood transfusion with blood stored for 10 days in the blood bank. All of the following statements are true except
1. Ability of this blood to release oxygen to the tissues is reduced
2. 2,3-DPG level falls in stored blood
3. 2,3-DPG level fall is less when blood is stored in acid-citrate-dextrose solution
4. Increase in 2,3-DPG levels cause shift of ODC to right

Correct answer: 3. 2,3-DPG level fall is less when blood is stored in acid-citrate-dextrose solution

Explanation: In banked blood that is stored, the 2,3-DPG level falls and the ability of this blood to release O2 to the tissues is reduced. This decrease, which obviously limits the benefit of the blood if it is transfused into a hypoxic patient, is less if the blood is stored in citrate-phosphate-dextrose solution rather than the usual acid-citrate-dextrose solution.Reference: Ganong's Review of Medical Physiology, 25th edition; Page no: 642